In AIDS, lymphadenopathy is most often due to ?
1. TB
2. Lymphoma
3. Non specific enlargement of lymph node
4. Kaposi's sarcoma

Correct answer: 3. Non specific enlargement of lymph node

Explanation: Answer is 'c' i.e. Non specific enlargement of lymph node In AIDS, the lymphadenopathy is most often due to the chronic non specific lymphadenitis producing follicular hyperplasia.